Infection of submandibular space is seen in:
1. Ludwig angina
2. Vincent angina
3. Prinzmetal angina
4. Unstable angina

Correct answer: 1. Ludwig angina

Explanation: (a) Ludwig angina(Ref. Scott Brown, 8th ed., Vol 3; 628; Stell & Maran, 5th ed., 229)Ludwig angina is infection of the submandibular space, i.e. floor of mouth.Vincent angina is ulcerative gingivitis along with involvement of the tonsils.Prinzmetal angina and unstable angina are the acute coronary syndromes.